Patient is able to abduct, internally rotate and take his arm upto lumbosacral spine but not able to lift off. What is the probable diagnosis
1. Subscapularis tear
2. Teres major tear
3. Long head of biceps tear
4. Acromioclavicular joint dislocation

Correct answer: 1. Subscapularis tear

Explanation: A i.e. Subscapularis tear